Commonest cause for acute sinusitis is:
1. Swimming/Diving
2. Acute rhinitis
3. Nasal tumours
4. Deviated nasal septum

Correct answer: 2. Acute rhinitis

Explanation: All of the above can cause frontal sinusitis by obstructing the frontal sinus drainage and ventilation but acute rhinitis is most common.